Drug of choice for treatment of malaria due to P. Vivax in a 25 year old pregnant female is
1. Chloroquine
2. Primaquine2
3. Sulfadoxine -pyrimethanone
4. Quinine

Correct answer: 1. Chloroquine

Explanation: Refer KDT 6/e 786 DOC for malaria in pregnant -chloroquine DOC for chloroquine resistant malaria in pregnant -Quinine